The primitive gut is a derivative of
1. Yolk sac
2. Amniotic cavity
3. Allantoic cavity
4. Coelum

Correct answer: 1. Yolk sac

Explanation: With the formation of the head and tail folds, parts of the yolk sac become enclosed within the embryo. In this way, a tube lined by endoderm is formed in the embryo. This is the primitive gut, from which most of the gastrointestinal tract is derived. The primitive gut is in free communication with the rest of the yolk sac. The part of the gut cranial to this communication is the foregut; the part caudal to the communication is the hindgut, while the intervening part is the midgut. Ref:Inderbir Singh's Human Embryology, eleventh edition, pg.no., 172.